Lymphatics of suprarenal gland drain into which lymph nodes
1. Internal iliac
2. Para-aortic
3. Superficial inguinal
4. Coeliac

Correct answer: 2. Para-aortic

Explanation: Venous drainage flows directly into the inferior vena cava on the right side and into the left renal vein on the left side. Lymphatics drain medially to the aortic nodes. Each adrenal gland is composed of two distinct parts: the adrenal cortex and the adrenal medulla. The cortex is divided into three zones. Ref - BDC 6e vol2 pg328